Renal threshold value for glucose is
1. 100 mg%
2. 120 mg%
3. 150 mg%
4. 180 mg%

Correct answer: 4. 180 mg%

Explanation: D. i.e. (180 mg%) (297-K- sembulingam 4th) (650- Gan 23rd) (710-711 - Ganong 22nd)* The renal threshold for glucose, the arterial blood level at which glycosuria (glucose inurine) is reached when the glucose concentration in venous plasma is usually about 180 mg /dL, but it may be higher if the glomerular filtration is low.* Tm value for glucose is 380 mg/minute in men 300 mg/min in women.* The predicted renal thresholdfor glucose would be approx 300 mg%. However, the actual renal threshold for glucose is about 200mg% of arterial plasma or 180 mg% of venous plasma (537-A.K. Jain 3rd).